All of the following are seen in polycythemia rubra vera except -
1. Increased Vit B12, binding capacity (>9000 micromols/dL)
2. Decreased LAP score
3. Leucocytosis
4. Increased platelets

Correct answer: 2. Decreased LAP score